Mushroom cap sign in MRI is seen in:-
1. IIeocaecal TB
2. Pulmonary endometriosis
3. Ovarian endometriosis
4. Rectal endometriosis

Correct answer: 4. Rectal endometriosis

Explanation: Rectosigmoid endometriosis: - The endometrial deposit on rectum causes proliferation of muscularis propria and the surrounding tissues which is seen as "mushroom cap sign" in T2 weighted MRI.